A 24 year-old cook in a hostel mess suffered from enteric fever 2 years back. The chronic carrier state in this patient can be diagnosed by -
1. Vi agglutination test.
2. Blood Culture in Brain Heart infusion broth.
3. Widal test
4. All of the above

Correct answer: 1. Vi agglutination test.

Explanation: Vi agglutinins of titer of > 1:10 is taken significant for diagnosis of Typhoidal carriers